Drug of choice for acute (pneumococcal) lobar pneumonia is :
1. Amoxicillin clavulanic acid combination
2. Ciprofloxacin
3. Co-trimoxazole
4. Crystalline penicillin (Pen. G)

Correct answer: 4. Crystalline penicillin (Pen. G)